Fibroid with maximum symptoms is ?
1. Submucous
2. Subserous
3. Intramural
4. Cervical

Correct answer: 1. Submucous

Explanation: Ans. is 'a' i.e., Submucous